Site where myosin head bind to actin in skeletal muscle are covered by ________
1. Tropomyosin
2. Titin
3. Troponin
4. Tropomodulin

Correct answer: 1. Tropomyosin